All of the following drugs can precipitate tacrolimus toxicity except -
1. Gentamycin
2. Cisplatin
3. Vancomycin
4. Rifampicin

Correct answer: 4. Rifampicin

Explanation: Ans. is 'd' i.e., Rifampicin Tacrolimus is a highly nephrotoxic drugs. o Other nephrotoxic drugs may precipitate tacrolimus induced nephrotoxicity, when used concomitantly. o Important nephrotoxic drugs that enhance tacrolimus induced nephrotoxicity are: 1. Aminoglycosides (e.g. gentamycin) 2. Vancomycin 3. Cisplatin 4. Amphotericin B 5. Cotrimoxazole 6. NSAIDs